Low risk type of HPV:
1. Type-16
2. Type-6
3. Type-18
4. Type-31

Correct answer: 2. Type-6

Explanation: Ans. b. Type-6